Most common organ involved in air blast injury is -
1. Ear drum
2. Stomach
3. Eye
4. Lung

Correct answer: 1. Ear drum

Explanation: The synopsis of forensic medicine & toxicology ;Dr k.s narayan reddy ;28th edition; pg.no. 138 The tympanic membrane rupture most commonly with hemorrhage in ear .